A 9 year old female patient complains of pain and bleeding in  upper front teeth region and gives a history of fall while playing an hour ago. Intra-oral examination reveals bleeding and avulsion of maxillary right central incisor. Which is the better media for maintaining the PDL viability of this tooth?
1. Pasteurized bovine milk
2. Tap water
3. Gatorade
4. Coconut water

Correct answer: 1. Pasteurized bovine milk

Explanation: If the parent cannot or will not replant it, the tooth must be kept moist during the trip to the dental office. Allowing the avulsed tooth to dehydrate before replantation is damaging to a favorable prognosis. Hanks’ buffered saline, isotonic saline, and pasteurized bovine milk may be the most favorable known storage media. Although tap water has been a commonly recommended storage solution (and its use would be preferable to dehydration of the tooth), it is hypotonic, and its use leads to rapid cell lysis and increased inflammation on replantation.